NRHM was started by ?
1. Ministry of Education
2. Ministry of Finance
3. Ministry of Home affairs
4. Government of India

Correct answer: 4. Government of India

Explanation: Ans. is 'd' i.e., Government of India National Rural Health Mission (NRHM) Government of India launched NRHM on 5th April, 2005 for a period of 7 years (2005-2012). The mission seeks to improve rural health care delivery system. The main aim of NRHM is to provide accessible, affordable, accountable, effective and reliable primary health care and bridging the gap in rural health care through creation of a cadre of Accredited Social Health Activist (ASHA). The schedule of implementation of major components of NRHM are as following (40) : Merger of multiple societies and constitution of district/state mission. Provision of additional generic drugs at SC/PHC/CHC level. Operational programme management units. Preparation of village health plans. ASHA at village level (with drug kit) Upgrading of rural hospital Operationalising district planning Mobile medical unit at district level The Goals to be achieved by NRHM (40) A. National level Infant mortality rate reduced to 30/1,000 live births. Maternal mortality ratio reduced to 100/100,000. Total fertility rate reduced - 50% by 2010, additional 10% by 2012. Malaria mortality rate reduction -50% by 2010 additional 10% by 2012. Kala-azar mortality rate reduction - 100% by 2010 and sustaining elimination until 2012. Filarial/microfilaria rate reduction - 70% by 2010, 80% by 2012 and elimination until 2015. Dengue mortality rate reduction - 50% by 2010 and sustaining at that level until 2012. Japanese encephalitis mortality rate reduction - 50% by 2010 and sustaining at that level until 2012. Cataract operation : increasing to 46 laths per year by 2012. Leprosy prevalence rate : from 1.8/10,000 in 2005 to less than 1/10,000 thereafter. Tuberculosis DOTS services : maintain 85% cure rate through entire mission period. Upgrading community health centres to Indian public health standards. Increase utilization of first referral units from less than 20% to 75%. Engaging 250,000 female accredited social health activists (ASHA) in 10 states. B. At community level Availability of trained community level worker at village level, with a drug kit for general ailments. Health day at anganwadi level on a fixed day/month for provision of immunization, ante/post natal checkups and services related to mother and child healthcare, including nutrition. Availability of generic drugs for common ailments at subcentre and hospital level. Good hospital care through assured availability of doctors, drugs and quality services under the programme. Improved facilities for institution deliver through provision of referral, transport, escort and improved hospital care subsidized under the janani suraksha yojana for the below poverty line families. Availability of assured healthcare at reduced financial risk through pilots of community health insurance under the mission. Provision of household toilets. Improved outreach services through mobile medical unit at district level.